Tumors associated with organisms are all except:
1. Hepatocellular cancer
2. Non-small Cell Carcinoma of Lung
3. Gastric cancer
4. Nasopharyngeal cancer

Correct answer: 2. Non-small Cell Carcinoma of Lung

Explanation: Tumor associated with organism: Hepatocellular carcinoma- Aspergillus Flavus (aflatoxin) Gastric Cancer- H. pylori Nasopharyngeal Cancer- EBV No organsism is associated with Non small cell carcinoma of lung.